The recipient twin in monochorionic twin gestation effected by twin-twin transfusion syndrome is characterised by all except
1. Thrombosis
2. Hypovolemia
3. Kernicterus
4. Heart failure

Correct answer: 2. Hypovolemia

Explanation: In TTTS, recipient twin has circulatory overload, hyper volemia and heart failure.